Which of the following can be a cause of Oligohydramnios?
1. Multiparity
2. Twins
3. Renal agenesis
4. Macrosomia

Correct answer: 3. Renal agenesis

Explanation: Oligohydramnios causes : 1) Fetal chromosomal or structural anomalies 2) Renal agenesis 3) Obstructed uropathy 4) Spontaneous rupture of membranes 5) Intrauterine infections 6) Postmaturity 7) Iugr 8) Amnion nodosum